Placenta develops from
1. Decidua capsularis and Chorion frondosum
2. Decidua capsularis and Decidua basalis
3. Decidua basalis and Chorion frondosum
4. Decidua parietalis and Chorion frondosum

Correct answer: 3. Decidua basalis and Chorion frondosum

Explanation: Development of placenta: - Placenta has two components : Maternal & Fetal When the blastocyst attaches to uterus in endometrium, the endometrium is called as decidua which is of three types: - Decidua basalis , Decidua capsularis & Decidua parietalis. Fetus will also have some chorionic membrane developing leading to villi formation : Chorion Frondosum & Chorion laeve. Chorion laeve will disappear. Chorionic Frondosum persists & contributes to placenta along with Decidua Basalis .